A 30-year-old person met with a roadside accident. On admission his pulse rate was 120/minute, BP was 100/60 mmHg. USG examination revealed laceration of the lower pole of spleen and hemoperitoneum. He was resuscitated with blood and fluid. Two hours later, his pulse was 84/ minute and BP was 120/70 mm Hg. The most appropriate course of management in this case would be:
1. Exploring the patient followed by splenectomy
2. Exploring the patient followed by excision of the lower pole of spleen
3. Splenorrhaphy
4. Continuation of conservative treatment under close monitoring system and subsequent surgery if further indicated

Correct answer: 4. Continuation of conservative treatment under close monitoring system and subsequent surgery if further indicated

Explanation: - The most appropriate course of management in this case would be Conservative management - CECT | Depending upon the findings proceed for surgery